Heavy chain disease with kapppa light chains in urine -
1. Mu chain disease
2. Seligman disease
3. Franklin disease
4. waldenstrom macroglobulinemia

Correct answer: 1. Mu chain disease

Explanation: Answer- A. Mu chain diseaseMu HCD: Mu chain with associated light chain.